Which of the following is feminizing ovarian tumours:
1. Granulosa cell tumour
2. Arrhenoblastoma
3. Hilus cell tumour
4. Gynandroblastoma

Correct answer: 1. Granulosa cell tumour

Explanation: (Granulosa cell tumour): Ref: 362-S (339-S14th)TUMOURS ARISING FROM PRIMITIVE MESENCHYME(a) Feminizing: Granulosa cell, Theca cell, Leteoma(b) Neutral: Dyserminoma (Seminoma)(c) Virilising: Arrhenoblastoma, suprarenal cortical tumour, Hilus cell tumours(d) Mixed: Gynandroblastoma